Disputed maternity can be solved by using the following tests, EXCEPT:
1. Blood grouping
2. HLA typing
3. Preciptin test
4. DNA fingerprinting

Correct answer: 3. Preciptin test

Explanation: Precipitin test is an antigen-antibody reaction test, used to distinguish between species. It uses species specific antiserum. It will not be used for disputed maternity. Ref: Textbook of Medical Jurisprudence, Forensic Medicine and Toxicology By Parikh, 6th Edition, Pages 7-21 ; The Essentials of Forensic Medicine and Toxicology By K S Narayan Reddy, 27th Edition, Pages 402